Maintenance dose rate of a drug depends primarily on:
1. Volume of distribution
2. Half life
3. Lipid solubility
4. Total body clearance

Correct answer: 4. Total body clearance

Explanation: Maintenance dose rate = Clearance x Target Plasma concentration * Maintenance dose depends on clearance and target plasma concentration